Methotrexate mechanism of action:
1. Inhibit dihydrofolate reductase
2. Stimulate dihydrofolate reductase
3. Inhibit tetrahydrofolate reductase
4. Stimulate tetrahydrofolate reductase

Correct answer: 1. Inhibit dihydrofolate reductase

Explanation: Ans. (a) Inhibit dihydrofolate ReductaseRef. KD Tripathi 6th Ed. / 823METHOTREXATE (MTX)DHFADHFRase---------------THFA* Methotrexate is a highly efficacious antineoplastic drug which inhibits dihydrofolate reductase (DHFRase) enzyme- blocking the conversion of dihydrofolic acid (DHFA) to tetrahydrofolic acid (THFA).* This conversion is essential for formation of an essential coenzyme required for one carbon transfer reactions in denovo purine synthesis and amino acid interconversions.* Methotrexate has cell cycle specific action kills cells in S phase; primarily inhibits DNA synthesis.Also Know*Drug of choice for Mtx toxicity: FOLINIC ACID.